Wide QRS duration is -
1. > 0.8sec
2. > 0.9 sec
3. >0.12 Sec
4. >0.05 Sec

Correct answer: 3. >0.12 Sec